Which of the following anticancer drug is cell cycle specific?
1. Dactinomycin
2. Mitomycin C
3. Daunorubicin
4. Bleomycin

Correct answer: 4. Bleomycin

Explanation: Of all the anti-cancer antibiotics, bleomycin is only cell cycle specific.Bleomycin is a cell cycle-specific drug that causes accumulation of cells in the G 2 phase of the cell cycle. It acts by binding to DNA, which results in single- and double strandbreaks following free radical formation, and inhibition of DNA biosynthesis. The fragmentation of DNA is due to oxidation of a DNA-bleomycin-Fe(II) complex and leads to chromosomal aberrations. Bleomycin is indicated for the treatment of Hodgkin's and non-Hodgkin's lymphomas, germ cell tumor, head and neck cancer, and squamous cell cancer of the skin, cervix, and vulva. One advantage of this agent is that it can be given subcutaneously, intramuscularly, or intravenouslyRef: Katzung; 13th edition; Page no: 966